All age groups are included in numerator of dependency ratio except ?
1. ) 0-5 years
2. 5-10 years
3. 20-60 years
4. > 65 years

Correct answer: 3. 20-60 years

Explanation: Ans. is 'c' i.e., 20-60 years